Boundaries of quadrilateral space include all except-
1. Teres major
2. Long head of triceps
3. Neck ofhumerus
4. Deltoid

Correct answer: 4. Deltoid

Explanation: Ans. is "d" i.e., DeltoidSpacesBoundariesContentsQuadrangularSuperior--Subscapularis,Capsule of shoulder joint, Teres minorAxiltaryr nervePosterior circumflex humeral vesselsInferior --Medial --Lateral --Teres majorLong head of tricepsSurgical neck of humerusUpper triangularMedial -- Teres minorLateral -- Long h ead of tricepsInferior -- Teres majorCircumflex scapular arteryLower triangularMedial -- Long head of tricepsLateral -- Medial border of humerusSuperior-- Teres majorRadial nerveProfunda brachii vessels